Morbid jealousy is diagnostic of-
1. Cocaine
2. Cannabis
3. Alcoholism
4. Tabacco Intoxication

Correct answer: 3. Alcoholism

Explanation: Morbid (pathological) jealousy is seen in alcoholism.